H.Pylori causes which of the following anemia -
1. Iron deficiency anemia
2. Sideroblastic anemia
3. Hemolytic anemia
4. Aplastic anemia

Correct answer: 1. Iron deficiency anemia

Explanation: H.Pylori infection leads to peptic ulcer disease in human. Long standing peptic ulcer causes gastro intestinal bleeding and blood loss. If the blood loss exceeds certain levels it may lead to iron defficiency anemia Ref Harrison20th edition pg 1013